True about 1 year old child with PDA is –
1. Symptoms similar to Aorto pulmonary window
2. Chances of spontaneous closure high
3. Indomethacin may help in closure
4. Endocarditis is rare

Correct answer: 1. Symptoms similar to Aorto pulmonary window

Explanation: Before comparing the symptoms of PDA & Aortopulmonary window let me discuss the C/F of PDA.

Patent ductus arteriosus is a communication between pulmonary artery and Aorta after fetal life.

PDA results in left to right shunt from the aorta to the pulmonary artery. The flow occurs both during systole and diastole as a pressure gradient is present throughout the cardiac cycle between the 2 great arteries. This flow of blood results in continuous murmur it is usually heard at 2nd left interspace.
In patients with large left to right shunt a low pitched mitral mid diastolic murmur is audible at the apex, owing to the increased volume of blood flow across the mitral valve.
There are other conditions which can produce systolic and diastolic murmur in the pulmonary area such as Aortopulmonary window defect.



In Aortopulmonary window defect there is communication between the ascending aorta and main pulmonary artery. Usually the defect is large therefore the pressure between the two great arteries tends to equalize and flow is established only during systole when left ventricular contraction increases the aortic pressure. So the murmur in Aortopulmonary window defect is systolic with mid diastolic rumble due to increased blood flow through mitral valve.
Sometimes when the Aortopulmonary window defect is small, there is continuous blood flow from Aorta to pulmonary artery resulting in continuous murmur. In this condition symptoms of Aorticopulmonary window defect mimics the symptoms of PDA (Continuous murmur, wide pulse pressure,mid diastolic murmur). It is very difficult to distinguish between the 2 condition.
Chances of spontaneous closure in PDA in term infant is rare (chances of spontaneous closure of PDA is more in preterm infants.)
If diagnosis of PDA can be made within the first - two weeks, indomethacin can be given to close the defect. (But since the child is one year old Indomethacin is of no help).
In PDA there is increased risk of infective endocarditis.